Sorghum is pellagrogenic due to excess content of
1. Lysine
2. Threonine
3. Leucine
4. Tryptophan

Correct answer: 3. Leucine

Explanation: Jowar (sorghum) Jowar is also known as kaffir corn or Milo. It is a major crop grown in India next only to wheat and rice. For several population groups, it is a staple diet. The protein content of jowar varies from 9 to 14 per cent, and the proteins are limiting in lysine and threonine. Certain varieties of jowar have a high leucine content and consumption of these varieties is associated with pellagra. This disorder is often seen in the Telengana and Marathwada regions where jowar is predominantly consumed. Ref:Park's Textbook of Preventive and Social Medicine 23th Ed Pgno: 628